All of the following are seen in a patient who has the habit of smoking EXCEPT
1. Increased pocket depth
2. Attachment loss
3. Increased gingival bleeding on probing
4. All of the above

Correct answer: 3. Increased gingival bleeding on probing